% of HbF in a 6 month old infant is -
1. 10
2. 30
3. 50
4. 60

Correct answer: 1. 10

Explanation: Ans. is 'a' i.e., 10%